Rupture of membrane is said to be premature when it occurs at:
1. 38 weeks of pregnancy
2. 32 weeks of pregnancy
3. Prior to 1st stage of labour
4. II stage of labour

Correct answer: 3. Prior to 1st stage of labour

Explanation: Premature rupture of membranes (PROM) is defined as spontaneous rupture of membranes before the onset of labour. Preterm premature rupture of membranes (PPROM) is defined as premature rupture of membranes before 37 completed weeks.